Which of the following is contraindicated in CRF –
1. Halothane
2. Enflurane
3. Desflurane
4. Isoflurane

Correct answer: 2. Enflurane

Explanation: Enflurane and sevoflurane are considered undesirable for patients with renal disease.